Forage determination of 21-year-old female, a site for X-ray done -
1. Elbow and shoulder
2. Wrist
3. Hip and knee
4. Ischial tuberosity and clavicle

Correct answer: 4. Ischial tuberosity and clavicle

Explanation: The following data is used for radiologically age determination